All are common causes of maternal mortality except -
1. Post-partum hemorrhage
2. Infection
3. Cardiac failure
4. Anaemia

Correct answer: 3. Cardiac failure

Explanation: Cardiac failure us not a common cause of maternal mortality. REF. PARK'S TEXTBOOK OF PREVENTIVE AND SOCIAL MEDICAL 21ST EDITION. PAGE NO-516